A 5 yr old boy presented to the ER with vomiting and abdominal distension. Abdominal imaging showed mass in the ileocecal region. Histopathological examination of biopsy from the region showed diffuse infiltrate of lymphoid cells admixed with macrophages giving a 'starry-sky' appearance. Which of the following translocations is unlikely to be seen in this condition?
1. t(2;8)
2. t(8;22)
3. t(8;14)
4. t(11;14)

Correct answer: 4. t(11;14)

Explanation: t(11;14)/CyclinD1-IGH translocation is a feature of Mantle cell lymphoma. The given case has features suggestive of Burkitt lymphoma. In Burkitt lymphoma, involved tissues are effaced by a diffuse infiltrate of intermediate-sized lymphoid cells. Cells have high mitotic index, numerous apoptotic cells are seen The apoptotic remnants are phagocytosed by many tingible body macrophages which have abundant clear cytoplasm, scattered in between tumour cells giving rise to a 'starry-sky' pattern. Sporadic Burkitt lymphoma (non-endemic/non-African) most often appears as a mass involving the ileocecum and peritoneum. The tumour cells are mature B cells that express surface IgM, CD19, CD20, CD10, and BCL6, a phenotype consistent with a germinal center B-cell origin. All forms of Burkitt lymphoma are associated with translocations of the MYC gene on chromosome 8. MYC translocation partner is usually IGH locus , but may also be Ig k or Ig l light chain loci.